True about zonular cataract is:
1. Bilateral
2. Stationary
3. Autosomal dominant
4. All of the above

Correct answer: 4. All of the above

Explanation: Ans. All of the above